All cause nephrotic syndrome except -
1. Minimal lesion glomerulonephritis
2. Membranous glomerulonephritis
3. Post streptococcal glomerulonephritis
4. Focal glomerulosclerosis

Correct answer: 3. Post streptococcal glomerulonephritis